"Lesbianism" is also known as
1. Masochism
2. Tribadism
3. Uranism
4. Paraphilias

Correct answer: 2. Tribadism

Explanation: (B) Tribadism # SEXUAL OFFENCES:# Natural offences: Rape Incest... sexual intercourse by man with a woman who is blood related. Adultery# Unnatural offences: Sodomy... Anal intercourse between two males or between a male and female Tribadism or Lesbianism: Female homosexuality Bestiality Buccal coitus ... Coitus per os or sin of Gomorrah# Sexual perversions: Sadism ... Sexual gratification obtained or increased from acts of physical cruelty or infliction of pain upon one's partner. Masochism ... (opposite of sadism) Sexual gratification obtained or increased by suffering of pain. Necrophilia ... sexual intercourse with dead bodies Fetichism ... using objects for sexual gratification Transvestism ... males obtain sexual pleasure by wearing female dress. Exhibitionism ...Willful and Intentional exposure of genitalia in a public place to obtain sexual pleasure Masturbation (Onanism) ... Deliberate self-stimulation which affects sexual arousal. Voyeurism or Scoptophilia (counter part of exhibitionism)... the voyeur (peeping Tom) must see people undress in order to be sexually satisfied. Frotteurism ... contact with another person to obtain sexual satisfaction (rubbing his private parts against a female's body in crowds.) Undinism ... sexual pleasure is often obtained by witnessing the act of urination by someone of the same or opposite sex.